Hypercalciuria is said to be present in children if daily calcium excretion in urine is more than:
1. 1 mg/kg
2. 2 mg/kg
3. 3 mg/kg
4. 4 mg/kg

Correct answer: 4. 4 mg/kg

Explanation: Ans: d (4 mg/kg) Ref:Nelson, 17th ed, p. 1824, Table 539-1, 18th ed, p. 2184, Table 547-3Normal values of urine chemistry in childrenCalcium< 4.0 mg/kgOxalate< 0.57 mg/kgUric acid< 10.7 mg/kgCitrate> 2.0 mg/kgCysteinea) Heterozygote 1.4 - 2.8b) Homozygote >5.7Phosphate <15.0